Triad of vomiting, abdominal distension and "String of beads" sign on abdominal X-ray is typically suggestive of –
1. Duodenal atresia
2. Small bowel obstruction
3. Large bowel obstruction
4. Gastric volvulus

Correct answer: 2. Small bowel obstruction

Explanation: "Strings of beads" sign is pathognomonic of small bowel obstruction.